Which of the following is the best parameter to assess fluid intake in a poly-trauma patient -
1. Urine output
2. BP
3. Pulse
4. Pulse oximetry

Correct answer: 1. Urine output